All of the following are suggestive of Iron deficiency anemia except:
1. Microcytosis
2. Hypochromia
3. Increased Red blood cells
4. Increased Red cell distribution width

Correct answer: 3. Increased Red blood cells

Explanation: Ans. C. Increased Red blood cellsIron deficiency has a low RBC count. Thalassemia major is also a differential of microcytic hypochromic anemia but increased red cell count is a feature of Thalassemia and not Iron deficiency anemia.